Floaters can be seen in following except
1. Vitreous haemorrhage
2. Retinal detachment
3. Uveitis
4. Acute congestive Glaucoma

Correct answer: 4. Acute congestive Glaucoma

Explanation: Black spots or floaters in front of the eyes may appear singly or in clusters. They move with the movement of the eyes and become more apparent when viewed against a clear surface e.g., the sky. Common causes of black floaters are:  Vitreous hemorrhage Vitreous degeneration e.g., - senile vitreous degeneration, vitreous degeneration in pathological myopia Exudates in vitreous Lenticular opacity Reference : AK KHURANA COMPREHENSIVE OPHTHALMOLOGY, E4, Page-463